All are feature(s) of Beckwidth-Wide man syndrome except:
1. Omphalocele
2. Macrosomia
3. Hyperglycemia
4. Visceromegaly

Correct answer: 3. Hyperglycemia

Explanation: Answer- C. HyperglycemiaBeckwidth- Wiedemann syndrome is an overgrowth syndrome that is characterized by visceromegaly, macroglossia, macrosomia,mphalocele and hyperinsulinemic hypoglycemia.